Female patient with multiple, way lesions sessile, seen on vulva. Don't bleed on touch?
1. Condyloma accuminata
2. Chancroid
3. Molluscum
4. Herpes genitalis

Correct answer: 1. Condyloma accuminata

Explanation: Condyloma acuminata Caused by HPV 6>11 C/F- Pointed lesions ,Asymptomatic, pink verrucous lesion. Site - In males- Coronal sulcus, frenulum In females- Posterior fourchette Treatment- Topical {Imiquimod> Podophyllotoxin}